A 30 year old man came to the outpatient department because he had suddenly developed double vision. On examination it was found that his right eye, when at rest, was turned medially. The most likely anatomical structures involved are:
1. Medial rectus and superior division of oculomotor nerve
2. Inferior oblique and inferior division of oculomotor nerve
3. Lateral rectus and abducent nerve
4. Superior rectus and trochlear nerve

Correct answer: 3. Lateral rectus and abducent nerve

Explanation: C i.e. Lateral rectus & abducent nerve Abducent (6th) nerve supply lateral rectus muscle (LR6) Q. Palsy of lateral rectus presents with fully adducted eye (due to unopposed medial rectus), inability to abduct eye Q & diplopia in all gaze (maximum in ipsilateral outward gaze)Q except on looking to the side opposite to lesion (i.e. on normal side)